Distending media used in hysteroscopy are all except
1. Carbon dioxide
2. 5% dextrose
3. Glycine
4. Distilled water

Correct answer: 4. Distilled water

Explanation: Distending media used in hysteroscopy

Carbon dioxide
5% Dextrose
Glycine
Hyskon (32% dextrose)